Which is not true about hepatitis B virus -
1. DNA virus
2. Transmitted by faeco-oral route
3. Can be transmitted from mother to child (Perinatal transmission)
4. Contains reverse transcriptase

Correct answer: 2. Transmitted by faeco-oral route

Explanation: Hepatitis B is not transmitted by feco-oral route . Hepatitis A and Hepatitis E is transmitted by this route. Mode of transmission of Hepatitis viruses: 1. HAV -Feco-oral 2. HBV -Blood (MC), Sexual, Vertical 3. HCV -Blood (MC), Sexual (+/-), Vertical (+/-) 4. HDV -Blood (MC), Sexual(++), Vertical(+) 5. HEV -Feco-oral HBV is the only DNA virus among hepatitis viruses; family Hepadnaviridae. All other hepatitis viruses are single stranded RNA viruses. P gene of HBV is the largest and codes for polymerase (P) protein, having 3 enzymatic activities: (i) DNA polymerase activity, (ii) Reverse transcriptase activity and (iii) RNase H activity.